Which extra-intestinal symptom of IBD worsens with exacerbation of disease activity?
1. Toxic megacolon
2. Arthritis
3. Primary sclerosing cholangitis
4. Uveitis

Correct answer: 2. Arthritis

Explanation: Toxic megacolon is an intestinal manifestation and hence is ruled out. Arthritis develops in 15-20% patients of I.B.D and it worsens with disease activity. Control of bowel inflammation will reduce the arthritis symptoms. Venous thromboembolism and erythema nodosum also worsens with disease activity. PSC may occur before symptoms of ulcerative colitis begin and may develop years after the proctocolectomy has been performed.